A patient was being treated with a drug that interferes with the activity of enzyme pyruvate ferredoxin oxidoreductase. Which of the following is the most likely organism causing infection in this patient?
1. Beef tapeworm
2. Whipworm
3. Cryptosporidium
4. Trypanosoma

Correct answer: 3. Cryptosporidium

Explanation: Pyruvate ferredoxin oxidoreductase (PFOR) enzyme dependent electron transfer is essential for anaerobic metabolism in many protozoa and bacterial species. The drug that acts by interfering with this reaction is nitazoxanide. It is the only drug available for cryptosporidiosis. It is also approved for treatment of Giardiasis.